Kuppuswamy Scale - include A/E
1. Education
2. Occupation
3. Housing
4. Monthly income

Correct answer: 3. Housing

Explanation: Ans. is 'c' i.e., Housing Kuppuswamy's socio-economic scale? important tool for assessing socio-economic status of family Include 3 parameters? Education of head of family Occupation of head of family Family income per month Family is divided into? Upper class Upper middle Lower middle Upper lower Lower